Which of the following amino acid takes a role in detoxification of ammonia normally in the human body?
1. Glutamine
2. Alanine
3. Methionine
4. Glycine

Correct answer: 1. Glutamine

Explanation: Ammonia is produced in the body during normal protein metabolism and by intestinal bacteria, primarily those in the colon. The liver plays a role in the detoxification of ammonia by converting it to urea, which is excreted by the kidneys. Striated muscle also plays a role in detoxification of ammonia, which is combined with glutamic acid to form glutamine. Ref: Kaplan M.M. (2012). Chapter 302. Evaluation of Liver Function. In D.L. Longo, A.S. Fauci, D.L. Kasper, S.L. Hauser, J.L. Jameson, J. Loscalzo (Eds), Harrison's Principles of Internal Medicine, 18e.